Bruxism is -
1. Walking during sleep
2. Nocturnal enuresis
3. Grinding of teeth during sleep
4. Sleep apnoea

Correct answer: 3. Grinding of teeth during sleep

Explanation: Bruxism is grinding of teeth which occurs during stage 3 & 4 of NREM sleep.